Human papilloma virus is associated with this carcinoma:
1. Carcinoma cervix
2. Carcinoma uterus
3. Fibroids
4. None of the above

Correct answer: 1. Carcinoma cervix

Explanation: Carcinoma cervix